Periodic acid schiff stain shows block positiveity in -
1. Myeloblasts
2. Lymphoblasts
3. Monoblasts
4. Megakaryoblasts

Correct answer: 2. Lymphoblasts

Explanation: Ans. is 'b ' i.e., LymphoblastImpoant characteristics of Leukemic cellso Myeloblast -o Myeloperoxidase positive, Auer rod positive, Sudan Black B o Monoblast --> Nonspecific exterase positiveo Lymphoblast --> Periodic acid schiff (PAS) positive